Which of the following is a feature of pernicious anaemia
1. Glossitis
2. Tingling or numbness of extremities
3. Nervous system involvement in 75 % cases
4. All of the above

Correct answer: 4. All of the above

Explanation: In pernicious anaemia
Triad

Generalised weakness
Sore and painful tongue
Tingling or numbness of extremities


Nervous system involvement is present in 75% of cases
Degeneration of myelin sheath & peripheral nerves